Trabeculectomy for glaucoma leads to formation of a channel between
1. Subconjuntival space and anterior chamber
2. Anterior chamber and Posterior chamber
3. Subconjunctival space and posterior chamber
4. None of the above

Correct answer: 1. Subconjuntival space and anterior chamber

Explanation: Answer- A. Subconjuntival space and anterior chamberTrabeculectomy is a surgical procedure used in the treatment of glaucoma to relieve intraocular pressure by removing pa of the eye's trabecular meshwork and adjacent structures.It is the most common glaucoma surgery performed and allows drainage of aqueous humor from the anterior chamber to underneath the conjunctiva where it is absorbed.